Acute intravascular hemolysis can be caused by infection due to all of the following organisms except-
1. Clostridium tetani
2. Bartonella bacilliformis
3. Plasmodium falciparum
4. Babesia microti

Correct answer: 1. Clostridium tetani

Explanation: Organisms that parasitize RBCs can directly lyse them and can cause intravascular hemolysis.
Intracellular parasites; reside within RBCs: Plasmodium spp., Babesia spp., Bartonella baciliformis
Clostridium tetani is not intracellular parasite; it can cause hemolysis indirectly by production of tetanolysin toxin, but it not intravascular hemolysis.